In an epidemic of hepatitis E, infection in which of the following carries a poor prognosis?
1. Malnourished male
2. Pregnant women
3. Anaemic male
4. Postmenopausal women

Correct answer: 2. Pregnant women

Explanation: Fulminant hepatic failure is more likely to happen in pregnant women than in malnourished, anemic male and postmenopausal women.